In membranous conjunctivitis, membrane is found in –
1. Limbus
2. Palpebral conjunctiva
3. Bulbar conjunctiva
4. Cornea

Correct answer: 2. Palpebral conjunctiva

Explanation: In membranous conjunctivitis, fibrinous membrane is formed on palpebral conjunctiva.